EXIT procedure is used in all, EXCEPT:
1. Cystic hygroma
2. Teratoma
3. Congenital tracheal stenosis
4. Hypertrophic pyloric stenosis

Correct answer: 4. Hypertrophic pyloric stenosis

Explanation: The ex utero intrapartum therapy (EXIT) procedure is used in circumstances in which airway obstruction is predicted at the time of delivery due to the presence of a large neck mass, such as a cystic hygroma or teratoma, or to congenital tracheal stenosis. Ref: Schwartz's principle of surgery 9th edition, chapter 39.